Which of the following is NOT an amide ?
1. Lignocaine
2. Procaine
3. Mepivacaine
4. Dibucaine

Correct answer: 2. Procaine

Explanation: Ans. is 'b' i.e., Procaine o Local anaesthetics are either esters (aminoesters) or amides (aminoamides). A) Aminoesters :- Procaine, chloroprocaine, tetracaine (Amethocaine), benzocaine, cocaine. B) Amides (aminoamides) Lignocaine, Prilocaine, mepivacaine, bupivacaine, etidocaine, ropivacaine and dibucaine.